The important feature of psoriasis is –
1. Crusting
2. Scaling
3. Oozing
4. Erythema

Correct answer: 2. Scaling

Explanation: Psoriasis is a papulosquamous disorder characterized by papule and scales.